Following is a feature of concomitant squint -
1. Constant amount of deviation in all directions of gaze
2. Associated limitation of ocular movements
3. Different amount of deviation in different directions of gaze
4. Develops in the patients at 15 - 20 years of age

Correct answer: 1. Constant amount of deviation in all directions of gaze

Explanation: Concomitant squint is characterised by Amount of deviation remains constant in all directions of gaze. There is no associated limitation of ocular movements. Process starts by the age of 3-6 months and is completed upto 5-6 years. Ref : A.K.Khurana; 6th edition; Page no: 347